Reliability means -
1. Number of times the same results on repeated trials
2. Number of times variation is seen
3. Extent of accuracy
4. Level of simplicity

Correct answer: 1. Number of times the same results on repeated trials

Explanation: Repeatability (reliability)

Repeatability means, the test must give consistent results when it is repeated more than once on the same individual under same conditions.
That means the results of test are precise (exact), So repeatability is some time called precision, reliability or reproducibility.